Which of the following cells are normally in the G0 stage of the cell cycle and hence not proliferating, but are capable of dividing in response to injury?
1. Transitional epithelium of the urinary tract
2. Parenchyma of most solid organs
3. Neurons
4. Skeletal muscles

Correct answer: 2. Parenchyma of most solid organs

Explanation: Stable tissues are made up of cells that are normally in the G0 stage of the cell cycle and hence not proliferating, but they are capable of dividing in response to injury or loss of tissue mass. These tissues include the parenchyma of most solid organs, such as liver, kidney, and pancreas. Endothelial cells, fibroblasts, and smooth muscle cells are also normally quiescent but can proliferate in response to growth factors, a reaction that is particularly important in wound healing.
Robin’s Textbook of pathology 10th ed  Page 88